Which variety of AML is associated with good prognosis -
1. MO
2. M3
3. M6
4. M7

Correct answer: 2. M3

Explanation: Ans. is 'b' i.e., M3 Prognostic factors in AMLGood PrognosisBad Prognosiso Age < 40 yearso Age < 2 years or > 55 yearso M2, M3, M4 forms of AMLo M0, M6, M7 FORMS OF AMLo Blast cell with Auer rodso Complex karyotypeso TLC <25x109/Lo TLC> 100 x 109/Lo t (15;17), t (8;21), inv 16o Deletions 5q, 7q (Monosomy 5 or 7)o Leukemia without preceeding MDSo AML with preceding MDS or anticancer drug exposure